Which of the following is not included in the primary prevention for hypertension:
1. Exercises
2. Weight control
3. Health education
4. Early diagnosis and treatment

Correct answer: 4. Early diagnosis and treatment

Explanation: Ans. D: Early diagnosis and treatment Primary prevention strategies intend to avoid the development of disease. Most population-based health promotion activities are primary preventive measures Weight loss, reduced intake of dietary sodium, moderation in alcohol consumption, and increased physical activity are the best proven interventions for prevention of hypertension.